An eleven year old rape victim is brought to casualty for medical examination. The medical officer is required to do the following things, except:
1. The consent is to be taken from the patient.
2. The patient should be examined in presence of -a female attendant.
3. The patient should be given necessary emergency treatment.
4. All the necessary forensic samples should be collected.

Correct answer: 1. The consent is to be taken from the patient.

Explanation: A i.e. The consent is to be taken from the patient Blanket consent obtained by most hospitals and surgeons is of no value in court. To be legally valid consent is to be obtained for each specific procedure and operationQ. Concealed information is telling false facts and not giving full information. It has got no palce in informed conset. In an emergency, the law implies consent; so there is no need of formal consent for emergency surgeries.Q as amputation, decompression etc In any procedure affecting the right's of spouse eg. sterilization, hysterectomy, artificial insemination etc informed consent from spouse should also be obtainedQ Implied consent is non written but legally effective form of consent, which is not expressly asserted. It allows general medical examination not more than inspection, palpation, percussion & auscultation (even pelvic examination by gynaecologist)Q. In < 12 year victim consent for examination is taken from parentsQ